Treatment for alcoholic hepatitis with discriminant function of >32 is?
1. Thiamine
2. Prednisolone
3. Disulfiram
4. Acamprosate

Correct answer: 2. Prednisolone

Explanation: Discriminat function of >32 Rx- Predinisolane Discriminant score= 4.6 x + Billirubin ( Normal PT = 11-16) - Alcohol deaddiction - Naltraxone, Acamprosate. - Thiamine - Wernike encephalopathy